Arlt's line is seen in:
1. Ophthalmia neonarorum
2. Trachoma
3. Angular conjunctivitis
4. Vernal catarrh

Correct answer: 2. Trachoma

Explanation: Ans. B: Trachoma A purulent discharge strongly suggests bacterial cause, unless there is known exposure to toxins. Infection with Neisseria gonorrhoeae should be suspected if the discharge is particularly thick and copious. Itching (rubbing eyes) is the hallmark symptom of allergic conjunctivitis. Other symptoms include past history of eczema, or asthma. A diffuse, less "injected" conjunctivitis (looking pink rather than red) suggests a viral cause, especially if numerous follicles are present on the lower tarsal conjunctiva on biomicroscopy. Scarring of the tarsal conjunctiva suggests trachoma, especially if seen in endemic areas, if the scarring is linear (von Arlt's line), or if there is also corneal vascularisation. Other symptoms including pain, blurring of vision and photophobia should not be prominent in conjunctivitis.